Nikolsky sign is seen in?
1. Salmonella infectio
2. Gram negative bacteremia
3. Meningococci infection
4. Staphylococci infection

Correct answer: 4. Staphylococci infection

Explanation: Ans. is 'd' i.e., Staphyloccci infection